Constantly changing refractive error is seen in:
1. Intumescent cataract
2. Diabetic cataract
3. Traumatic cataract
4. Morgagnian cataract

Correct answer: 2. Diabetic cataract

Explanation: In diabetic patients often in hyperglycemia blood sugar level increases leading to myopia and as it becomes hypoglycemia it may lead to hypermetropia This constantly changing refractive error is seen in diabetic with or without cataract. Diabetic Cataract- Snowflake opacities Intumescent cataract This means a swollen cataract due to excessive hydration. The swollen lens pushes the iris forward leading to closure of the angle and producing the so called Phacomorphic glaucoma. Traumatic cataract Traumatic cataract in blunt/concussion trauma is typically in rosette shaped cataract. In penetrating injury, it is usually anterior subcapsular. Morgagnian cataract There is total liquefaction of the cortex as a result of which the nucleus sinks inferiorly. The liquefied cortex leaks through the intact capsule. And blocks the trabecular meshwork. This leads to photolytic glaucoma or lens protein glaucoma. It also causes phacoanaphylactic uveitis.